False about latent nystagmus
1. Fast phase to the fixing eye
2. Increases with monocular occlusion
3. Is often associated with intermittent exotropia
4. Null point in adduction

Correct answer: 3. Is often associated with intermittent exotropia